Severe infection will increase if absolute neutrophil count will become?
1. <500
2. Less than 800
3. Less than 1000
4. Less than 2000

Correct answer: 1. <500

Explanation: Ans. (a) <500(Ref: Robbins 9th/pg 582)Neutropenia is denoted as ANC (absolute neutrophil count)ANC=100(%neutrophils+%bands)x(WBC) Mild neutropenia (1000>=ANC<1500): minimal risk of infectionModerate neutropenia (500>=ANC<1000): moderate risk of infectionSevere neutropenia (ANC<500): severe risk of infection.Agranulocytosis refers to a virtual absence of neutrophils in peripheral blood. It is usually applied to cases in which the ANC is lower than 100/mL